Ameloblast develop from?
1. Neuroectoderm
2. Surface ectoderm
3. Mesoderm
4. Endoderm

Correct answer: 2. Surface ectoderm

Explanation: ANSWER: (B) Surface ectodermREF: Langman's embryology 10th ed Ch: 16, Grays anatomy 40th ed chapter 35, Lasts Anatomy Regional and Applied By Mcminn ed page 479ODONTOGENESIS:Teeth arise from an epithelial-mesenchymal interaction between overlying surface/oral ectoderm (epithelium) and underlying mesenchyme derived from neural crest cellsSurface/oral ectoderm: By the sixth week of development, the basal layer of the epithelial lining of the oral cavity forms a C-shaped structure, the dental lamina, along the length of the upper and lower jaws. This lamina subsequently gives rise to a number of dental buds. Soon the deep surface of the buds invaginates, resulting in the cap stage of tooth development. Enamel is produced by ameioblasts which are derived from oral ectoderm. Although Ameioblasts appears earlier than Odontoblasts, its product enamel appears later than dentine.Mesenchyme: The ectoderm evokes a series of reaction in surrounding mesoderm to produce dental papilla. The surface cells of dental papilla becomes columnar Odontoblasts which produces dentine. Mesoderm of the dental papilla persists as pulp of the tooth surrounded by dentine. Cementum is produced in the mesoderm outside the dentine of the root, a process comparable to membranous ossification.